The first test to become positive in patients with Hemochromatosis is:
1. Increased Serum Iron
2. Increased Serum Ferritin
3. Increased Transferrin Saturation
4. Increased Liver Enzymes

Correct answer: 3. Increased Transferrin Saturation

Explanation: Answer is C (Increased Transferrin Saturation):Transferrin Saturation is the first blood test to become elevated in Hemochromatosis.The first biochemical manifestation of hemochromatosis is an increase of transferring saturation, which reflects an uncontrolled influx of iron into the blood stream .from enterocytes and macrophages.The serum transferrin saturation and serum ferritin levels are the two most important indicators of hemochromatosis and body iron stores.Elevation of transferrin levels precedes elevation offerritin levels.The first biochemical manifestation of hetnochromatosis is an increase in serum transferrin saturation.Serum iron concentration per se is not a good indicator for iron overload states like Hemochromatosis.Liver Enzymes may be normal or elevated depending on the extent of hepatocyte damage.They are usually normal or only mildly elevated in the early stages of hemochromatosis.Laboratory findings in HemochromatosisTransferrin saturation is the first blood test to become elevated in hemochromatosis homozygotesThe sensitivity of elevated transferring saturation to identify a patient with hemochromatosis is 94 to 98% and its specificity is 70 to 98%.Transferrin saturation is usually > 60% in symptomatic men and >50% in symptomatic womenUnboundSerumLiverDNA testing by polymerase chain reaction may he used to detect mutations of the HFE gene.